A male child with gall bladder stone has HB-6 gm%, serum biliruhin 2.5 mg % and high urobilinogen in urine. The diagnosis is
1. Haemolytic Jaundice
2. Obstructive jaundice
3. Secondary biIlary cirrhosis
4. Hepato cellular jaundice

Correct answer: 1. Haemolytic Jaundice

Explanation: There are three types of jaundice: haemolytic jaundice - caused by destruction of red blood cells. obstructive jaundice - caused by a blockage in the pathway where bilirubin is made in the liver cells and where bile goes into the duodenum. hepatocellular jaundice - caused by damage to liver cells Ref Davidson edition23rd pg860